All of the following statements about beta blockers are true except?
1. Nebivilol is a cardioselective beta blocker
2. Cardio selective beta blockers are relatively safe in asthma
3. Beta blockers are contraindicated in acute CHF
4. Atenolol is safe in renal failure

Correct answer: 4. Atenolol is safe in renal failure

Explanation: Cardio selective beta blockers: Esmolol (shortest acting, metabolized by pseudo cholinesterase) Betaxolol (reduces IOP, used in glaucoma) Atenolol (water soluble beta blocker, C/I in renal failure) Acebutolol & celiprolol (partial agonist) Metoprolol (cardio selective beta blocker) Cardio selective beta blockers are safe in asthma, PVD & DM Uses of cardio selective beta blockers:- Hypertension- Classical angina (C/I in variant angina)- MI- Chronic CHF (C/I in acute CHF)- Arrhythmia